The most common structure fractured in ligature strangulation is
1. Hyoid bone
2. Horns of Thyroid cartilage
3. Ala of Thyroid cartilage
4. Cricoid cartilage

Correct answer: 2. Horns of Thyroid cartilage

Explanation: Ligature strangulation: Fracture of the thyroid cartilage is more common, especially of one or both superior horns. Fracture of thyroid laminae and cricoid cartilage is less common and occurs only when considerable force is used, or if some solid object is included in the ligature and applied over the front of the neck. Injury to the hyoid bone is not common, because the level of constriction is usually below the bone. Hyoid bone may be fractured in older persons in 10 to 15% of cases. Trachea is rarely broken.